Tumarkin's crisis is said to be a variant of
1. Glue ear
2. Meniere's disease
3. CSOM
4. Otosclerosis

Correct answer: 2. Meniere's disease